Sexual pleasure obtained by touching others is known as?
1. Frotteurism
2. Exhibitionism
3. Voyeurism
4. Eonism

Correct answer: 1. Frotteurism

Explanation: Ans. is 'a' i.e., Frotteurism o Frotteurism : is contact with another person in order to obtain sexual gratification. Sexual gratification by rubbing private parts against a female body in crowd. It is punishable under Section 290 I.P. C., with fine upto Rs 200.o Voyeurism: Sexual gratification is obtained by looking at the sexual organs of other persons, watching the act of sexual intercourse, or witnessing undressing by a woman.o Exhibitionism: It is a willful and intentional exposure of the genitalia in a public place while in the presence of others to obtain sexual pleasure.o Eonism (Transvestism): A transvestite is a person whose whole personality is dominated by the desire of being identified with the opposite sex.